With reference to Escherichia coli infections, the following are true, EXCEPT:
1. Enteroaggregative E. coli is associated with Persistant diarrhoea
2. Enterohemorrhagic E. coli can cause haemolytic uraemic syndrome
3. Enteroinvasive E. coli produces a disease similar to salmonellosis
4. Enterotoxigenic E. coli is a common cause of travelers' diarrhoea

Correct answer: 3. Enteroinvasive E. coli produces a disease similar to salmonellosis

Explanation: Enteroinvasive E. Coli shares many genetic and clinical features with Shigella not salmonella. Enterotoxins produced by it initially induce secretory small-bowel diarrhea. Subsequently it colonize and invades the colonic mucosa resulting in the development of inflammatory colitis characterized by fever, abdominal pain, tenesmus, and scant stool containing mucus, blood, and inflammatory cells. Symptoms are usually self-limited (7-10 days). Ref: Harrisons Internal Medicine, 18th Edition, Chapter 149